An antibiotic not acting on tubulin is ?
1. Bleomycin
2. Colchicine
3. Paclitaxel
4. Vincristine

Correct answer: 1. Bleomycin

Explanation: Ans. is 'a' i.e., Bleomycin Bleomycin (an anticancer antibiotic) does not act on tubulin.